Gastrointestinal stromal malignancy arises from which of the following -
1. Smooth muscle
2. Nerve cells
3. Interstitial cells of Cajal
4. Vascular Endothelium

Correct answer: 3. Interstitial cells of Cajal

Explanation: "Gastrointestinal stromal tumors (GIST) originate from the interstitial cells of Cajal, which controls gastrointestinal peristalsis."

On rare occasions, gastric GISTs occur as part of tumor - syndrome, such as :-


Carney's trads → Gastric GIST, Paraganglioma and pulmonary chondroma.
Neurofibromatosis Type I


Histologically, GISTs can be divided into


Spindle types → Exhibit spindle cells
Epithelioid types → Exhibit epithelioid cells
Mixed types → A mixture of both